Physiologically inactive form is
1. Angiotensin I
2. Angiotensin II
3. Angiotensin III
4. Angiotensin IV

Correct answer: 1. Angiotensin I

Explanation: Ans. (a) Angiotensin I(Ref: Ganong, 25th ed/p.696)Angiotensin II & III got physiological activitiesAngiotensin I is only the precursor of Angiotensin II